Which of the following represents the optimal age of cleft palate repair?
1. 3 months
2. 3 - 6 months
3. 6 - 18 months
4. 24 months

Correct answer: 3. 6 - 18 months

Explanation: Cleft palate is usually repaired when the infant is between 6 - 18 months of age. Optimal time of cleft lip repair follows the rule of 10 which includes a body weight of 10lb or more, hemoglobin of 10mg/dl or more and age after 10 weeks of life. Reference: Schwartz 's Principles of Surgery 9e chapter 45.